Lesions of the medial temporal lobe may produce
1. Visual Amnesia
2. Auditory Amnesia
3. Antegrade Amnesia
4. All

Correct answer: 4. All

Explanation: Answer is A, B, C (Visual Amnesia, Auditory, Antigrade Amnesia): The medial temporal lobe is most characteristically associated with memory. Unilateral dominant lesions produce disorders of verbal memory (Auditory amnesia). Unilateral nondominant lobe lesions produce disorders of non verbal memory (visual amnesia) and bilateral lesions produce Antegrade amnesia.